Which Ca. has best prognosis -
1. Ca. Lip
2. Ca. Cheek
3. Ca. Tongue
4. Ca. Palate

Correct answer: 1. Ca. Lip

Explanation: Ans is 'a' ie Ca lip Carcinoma lip CliZO ttmi.;,": * Is a locally malignant tumor. Metastasized to lymph nodes early. * Metastases to lymph nodes is late. * 5 year survival rate is not more than 25' * Distant metastasis is rare and very late. Carcinoma palate * Local recurrence rate is low. Recognized late as it presents as a painless * Easily recognized early due to superficial site. ulcer. Carcinoma Cheek Invade the bone of hard palate, floor of the nasal * Is a slow growing tumor. cavity & maxillary antrum. * It metastasizes to lymph nodes but distant Tit involves removal of the underlying bone. metastasis is rare If the lesion is larger, partial maxillectomy is * Local recurrence is high after resection. done These descriptions of carcinoma clearly rank Ca lip with best prognosis.